High energy phosphate is not produced in:
1. TCA cycle
2. Hexose monophosphate pathway
3. Glycolysis
4. Beta oxidation of fatty acid

Correct answer: 2. Hexose monophosphate pathway

Explanation: Ans. B. Hexose monophosphate pathwayPathways which do not synthesize ATP are:HMP pathwayRapoport Luebering cycleUronic acid pathwayAlpha oxidation of fatty acidOmega Oxidation of fatty acid